Variables are arranged in ascending or descendintg order to determine
1. Mean
2. Mode
3. Median
4. Range

Correct answer: 3. Median

Explanation: Ans. is 'c' i.e. Median